Drug of choice for alcohol withdrawal -
1. Disulfiram
2. Chlormethazole
3. Chlordiazepoxide
4. Buspirone

Correct answer: 3. Chlordiazepoxide

Explanation: Ans. is 'c' i.e., Chlordiazepoxide o Chlordiazepoxide is the DOC for alcohol withdrawalo Disulfiram is 1st line drug to prevent relapse.Treatment of alcohol dependenceo Detoxification (treatment of withdrawal)BZDs are the drugs of choice, e.g. chlordiazepoxide (1st choice), Diazepam (2nd choice).o Maintenance after detoxification (to prevent relapse and maintenance of abstinence):-a) Aversive agents (deferent agents):- Disulfiram, CCC, metronidazole, Natrafezole.b) Anticraving agent:- Naltrexone, Acamprosate, fluoxetine, Topiramate, Nalmefene